Each body fluid compartments have different electrolyte concentrations. Which of the following is the MOST abundant extracellular anion?
1. Chloride
2. Bicarbonate
3. Sodium
4. Potassium

Correct answer: 1. Chloride

Explanation: Chloride is the most abundant extracellular anion and phosphate is the most abundant intracellular anion. Sodium is the most abundant extracellular ion and potassium is the most abundant intracellular ion cation. Bicarbonate ion is the second most abundant extracellular anion. Must know: Osmolality of plasma varies from 285-295 mosm/kg. Major determinant of osmo-lality is sodium. Ref: Textbook of Biochemistry by DM Vasudevan, 5th edition, Page 373.